True about thromboxane A2: 
A) Formed by platelets
B) Formed from PGG2/PGH2
C) Prothrombogenic
D) Vasoconstricter
E) Vasodilator
1. ABC
2. ABCDE
3. ABCD
4. ACB

Correct answer: 3. ABCD